Pilocarpine causes all EXCEPT
1. Salivation
2. Miosis
3. Sweating
4. Cycloplegia

Correct answer: 4. Cycloplegia

Explanation: Ans. d (Cycloplegia). (Ref. KD Tripathi, 6th/98, Basak, Ophthalmology, 2nd /44)PILOCARPINE# Pilocarpine is a local parasympathomimetic ocular hypotensive drug# Its miotic effect is useful in the management of angle closure glaucoma. It is a third-line drug in open angle glaucoma.# It is not a cycloplegic drug.# However, its systemic effects include- increased sweating,- increased salivation,- bronchospasm &- abdominal cramps.# Contraindications to pilocarpine:- Inflammatory glaucoma- Malignant glaucoma- AllergyEducational point:# Sympathomimetic mydriatics like atropine (strongest cycloplegic), homatropine, cyclopentolate, tropicamide are cycloplegic, but phenylephrine is not.